Froment's sign is characteristically seen in
1. Ulnar nerve injury
2. Median nerve injury
3. Radial nerve injury
4. Intercostobrachial nerve injury

Correct answer: 1. Ulnar nerve injury

Explanation: REF.BDC VOL.1.FIFTH EDITION Ulnar nerve injury at the wrist can be tested by Froment's sign,which tests the adductor pollicis muscle.When the patient is asked to hold a book firmly between the thumb and the fingers of both the hands,the terminal phalanx of the thumb on the paralysed side becomes flexed at the interphalangeal joint(by the flexor pollicis longus which is supplied by the median nerve)